Early stage of carcinoma esophagus is diagnosed by ?
1. Barium meal
2. Trans oesophageal USG
3. MRI
4. Endoscopy

Correct answer: 4. Endoscopy

Explanation: Ans. is 'd' i.e. Endoscopy